The cofactor required for the activity of sulfite oxidase is:
1. Copper
2. Selenium
3. Molybdenum
4. Zinc

Correct answer: 3. Molybdenum

Explanation: Molybdenum